Stensons duct of parotid opens opposite to
1. Upper second premolar
2. Lower second premolar
3. Lower second molar
4. Upper second molar

Correct answer: 4. Upper second molar